Most common cause of frequent change in presbyopic glasses among the following are:
1. Diabetic Retinopathy
2. Senile cataract
3. Age related macular degeneration
4. Glaucoma

Correct answer: 4. Glaucoma

Explanation: Glaucoma can cause frequent change of presbyopic glasses. Symptoms of primary open angle glaucoma Asymptomatic most commonly. Headache Frequent change of glasses Delayed dark adaptation Loss of field of vision in advanced cases